The pathological feature in Wegener's granulomatosis on renal biopsy is:
1. Nodular glomerulosclerosis
2. Focal necrotizing glomerulonephritis
3. Granulomas in the vascular wall
4. Granuloma of parenchyma of kidney

Correct answer: 2. Focal necrotizing glomerulonephritis

Explanation: Wegener's Granulomatosis : The renal lesions range from a mild/ early disease, where glomeruli show acute focal necrosis with thrombosis of isolated glomerular capillary loops (focal and segmental necrotizing glomerulonephritis). Advanced glomerular lesions are characterized by diffuse necrosis and parietal cell proliferation to form crescents (crescentic glomerulonephritis).